Laryngitis sicca is associated with
1. Rhinosporidium
2. Mycobacterium Leprae
3. Klebsiella ozaenae
4. Klebsiella rhinoscleromatosis

Correct answer: 3. Klebsiella ozaenae

Explanation: It is characterized by atrophy of laryngeal mucosa and crust formation. This condition is often seen in women and is associated with atrophic rhinitis and pharyngitis. Common symptoms include hoarseness of voice which temporarily improves on coughing and removal of crusts. Dry irritating cough and sometimes dyspnoea is due to obstructing crusts. Examination shows atrophic mucosa covered with foulsmelling crusts. When crusts have been expelled, the mucosa may show excoriation and bleeding. Crusting may also be seen in the trachea. Treatment is the elimination of the causative factor and humidification. Laryngeal sprays with glucose in glycerine or oil of pine are comfoing and help to loosen the crusts. Associated nasal and pharyngeal conditions will require attention. Expectorants containing ammonium chloride or iodides also help to loosen the crusts. Ref: PL Dhingra 7th edition of Ear, Nose and Throat; Pg no 331